All of the following are layers of the scalp except -
1. Skin
2. Periosteum
3. Galea Aponeurotica
4. Dura

Correct answer: 4. Dura

Explanation: Ans. is 'd' i.e., Dura o A mnemonic for the layers of the scalp is:# SCALPo This is particularly helpful when considering the location of a scalp haematoma.# S: skin# C: connective tissue# A: (galea) aponeurosis# L: loose connective tissue# P: periosteumo A retractor is applied between the galea aponeurotica and the loose connective tissue during surgery as the first three layers are tightly bound to each other.